A young boy presented to OPD with multiple shiny pinhead size white papules over dorsum of head, forearm and penis. What would be the diagnosis?
1. Lichen planus
2. Lichen nitidus
3. Scabies
4. MC

Correct answer: 2. Lichen nitidus

Explanation: Ans. b. Lichen nitidusLichen nitidus on histology shows claw clutching appearance